Which of the following muscle relaxant has the maximum duration of action
1. Atracurium
2. Vecuronium
3. Rocuronimum
4. Doxacurium

Correct answer: 4. Doxacurium

Explanation: Non-depolarising blockers : long acting (>50min): d-tubocurare , pancuronium, doxacurium, pipecuronium Intermediate acting(20-50mins) : Vecuronium, Atracurium, cisatracurium, rocuronium. Short acting(<20mins) : Mivacurium, Rapacuronium.